Mechanism of action of bromocriptine is:
1. Agonism at D2 receptors
2. Antagonism at D2 receptors
3. Antagonism at D1 receptors
4. Antagonism at α receptors

Correct answer: 1. Agonism at D2 receptors